The following are features of primary hyperaldosteronism except -
1. Polyuria
2. Hypertension
3. Hypokalemia
4. Hyperkalemia

Correct answer: 4. Hyperkalemia

Explanation: hyper secretion of aldosterone increase the renal distal tubular exchange of intratubar sodium for secreted potassium and hydrogen ion with depletion of body potassium causing hypokalemia( Harrison 17 pg 2260)